Which of the following drug is used in the treatment of estrogen dependent breast carcinoma ?
1. Tamoxifen
2. Methotrexate
3. Paclitaxel
4. Adriamycin

Correct answer: 1. Tamoxifen